Chromosomal translocation characteristic in acute promyclocytic leulamia
1. + (15;17)
2. + (22;9)
3. + (21;17)
4. + (9;22)

Correct answer: 1. + (15;17)

Explanation: In Aml with +(15;17), acute promyelocytic leulamia (M3 stage), auer rode present (most common stage associated with DIC).